The term "Dynamic stabilizer Of shoulder joint" is used for
1. Rotator cuff
2. Glenoid labrum
3. Coracohumeral ligament
4. Glenohumeral ligament

Correct answer: 1. Rotator cuff

Explanation: ROTATOR CUFF:-Musculotendinous cuff Tendons of :1. Supraspinatus2. Infraspinatus3. Teres minor4. SubscapularisThey fuse with the underlying capsule of shoulder joint.Tendons of supraspinatus fuse superiorly.Infraspinatus& teres minor posteriorlySubscapularis anteriorly Functions:-1. Stabilise shoulder joint.2. Grasp relatively large head of the humerus and holds it against the smaller shallow glenoid cavity.{Reference: vishram singh, pg no. 74}